Most common site of ectopic testis:
1. Lumbar
2. Superficial inguinal pouch
3. Superficial perineal pouch
4. Root of penis

Correct answer: 2. Superficial inguinal pouch

Explanation: Ans: b (Superficial inguinal pouch) Ref: Bailey, 24th ed,p. 1404Commonest position of ectopic testis is at the superficial inguinal pouch.Ectopic testis* Occurs due to rupture of the main scrotal tail of the gubernaculum testis. According toLockwood the gubernaculum testis have 5 tails.1) The scrotal tail - Mnain one2) Pubic tail - attached to pubic tubercle3) Perineal tail - attached to perineum4) Inguinal tail - attached to front of the inguinal canal5) Femoral tail - attached to the saphenous opening* Scrotal tail is the strongest and others disappear and so testis normally descents to scrotum.* In case one of the four accessory tails becomes stronger, the testis is drawn towards the attachment of that tail and then testis is called an ectopic testis.Sites of ectopic testis* Superficial inguinal pouch (inguinal) -Most common* Base of penis (pubic)* Femoral triangle (femoral)* Perineum (perineal)